Treatment of Non-union of # shaft femur -
1. Open reduction with external fixation
2. Excision of the bone
3. Bone grafting with internal fixation with K-Nail
4. All of the following

Correct answer: 3. Bone grafting with internal fixation with K-Nail

Explanation: Treatment of choice is open the fracture site for bone grafting and internal fixation.
Internal fixation technique may be : -
Intramedullary interlock nailing (Preferred)


Intramedullary 'K' nailing
Plating (compression plaiting).